A subcentre in a hilly area caters to a population of –
1. 1000
2. 2000
3. 3000
4. 5000

Correct answer: 3. 3000

Explanation: Remember the following facts

​A sub centre caters a population of - 5000 in general, 3000 in hilly, tribal & backward areas
A PHC caters a population of* - 30,000 in general, 20,000 in hilly, tribal & backward area.
A Community health centre caters a population of - 80,000 to 1.2 lakh.
A health assistant (male & females) are at a population of - 30,000 in general or (20,000 in hilly, tribal or backward area).
Male and female health workers are at a population of - 5000 in general or 3000 in hilly, tribal or backward area.
Health guide caters a population of - 1000
Anganwadi workers - 1000
Local dai -1000